Butterfly rash involves all areas except
1. Cheeks
2. Nasolabial fold
3. Lower eyelids
4. Bridge of nose

Correct answer: 2. Nasolabial fold

Explanation: Ref image davidsons 23e p1035